Galton's system is used for:
1. Dactylography
2. Poroscopy
3. Ridgeology
4. Anthropometry

Correct answer: 1. Dactylography

Explanation: Ans. Dactylography